BCYE. medium is used to culture:
1. Mycoplasma
2. T pallidum
3. H. pylori
4. Legionella

Correct answer: 4. Legionella

Explanation: Ans. (d) Legionella